Magistrate inquest is done in all the following cases except:
1. Exhumation
2. Homicide
3. Lock up death
4. Alleged dowry death

Correct answer: 2. Homicide

Explanation: Ans: B (Homicide) Ref: The Essentials of Forensic Medicine and Toxicology by KS Narayan Reddy, 29th edition, 2010, pg: 5Explanation:Inquest:It is an inquiry or investigation into the cause of death.It is conducted in cases ofo Suidde.o Murder.o Killing by an animal or machinery,o Accidents.o Deaths due to torture or ill-treatment.o Occupational diseases,o Suspected medical negligence,o Suspicious (unnatural deaths),o Deaths due to anesthesia or operation,o Unidentified or skeletonised bodies.Two types of inquests are held in India:o Police inquest.o Magistrate inquest.Magistrate InquestSection 176 CrPC deals with inquiry by Magistrate into cause of death.It is practised all over IndiaIt is not held routinely, but only in special situations.Conducted by:o District Magistrate (Collector/Deputy Commissioner),o Jucidiciat Magistrate,o Sub-Divisional Magistrate (RDO).o Executive Magistrate empowered by State Government, such as Sub-Collector or TahsildarIt is done in:o Death or Diappearance in police custody, while police interrogation,o Death due to police firing,o Death in prison, reformatories, Sorstal school,o Death in psychiatric hospital.o Dowry deaths (Suicide or death of a woman within 7 years of marriage).o Exhumation (IPC 174(4) and CPC 176).o Rape alleged to have been committed on any woman in the custody of police.o Admission of mentally ill person in a psychiatric hospital under certain provisions of Mental Health Act. 1987.Note: In addition to the above, the Magistrate reserves the right to hold an inquest in any other case of death which he or she deems fit. In any case of death, a Magistrate may conduct an inquest, instead of or in addition to the police (I PC 176).